a new agent was developed to increase the recognition of foreign antigens by antigen presenting cells .true regarding the physiological aspects of APCs
1. antigen is presented MHC-1 complexes
2. APCs are required before a response to viruses are generated
3. direct antibody stimulation still requires APCs
4. antigen processed by APC are recognised by CD 4+ tcells

Correct answer: 4. antigen processed by APC are recognised by CD 4+ tcells

Explanation: EXOGENOUS ANTIGENS ARE FIRST PHAGOCYTOSED BY APCs THEN THEY ARE PROCESSED BY APC s and presented on the surface of apc along with mhc 2 to be recognised by cd4+ t cells antigen Presenting Cells Antigen-presenting cells (APCs) are specialized cells, which include macrophages, B lymphocytes, and dendritic cells, are distinguished by two properties: (1)they express class II MHC molecules on their me branes, and # (2) they are able to deliver a co-stimulatory signal that is n cessary for TH-cell activation. antigen presentation : foreign protein antigen are degraded into small antigenic peptides that form complexes with class I or class II MHC molecules. # This conversion of proteins into MHC-associated pep iale fragments is called antigen processing and pr entation. # ether a particular antigen will be processed and resented together with class I MHC or class II HC molecules appears to be determined by the route that the antigen takes to enter a cell. ref : ananthanaryana 9th ed